All of the following may be associated with the use of Beta agonist in preterm labour, EXCEPT:
1. Hyperkalemia
2. Hyperglycemia
3. Tachycardia
4. Relaxation of uterine muscles

Correct answer: 1. Hyperkalemia

Explanation: Beta 2 agonists stimulate the uptake of potassium into the cells which results in hypokalemia and not hyperkalemia as mentioned above. Beta 2 agonists administered in the parenteral form or as nebulisation can be used in the management of hyperkalemia by promoting cellular intake. Ref: Harrison's Textbook of Internal Medicine 16th Edition, Pages 263; Goodman and Gilman's The Pharmacological Basis of Therapeutics, 11th Edition, Pages 143-44, 247; K D Tripathi Textbook of Pharmacology, 5th Edition, Pages 109- 111; Dutta's Textbook of Obstetrics, 6th Edition, Page 508; Manual of Nephrology By Robert W. Schrier, 7 th Edition, Pages 43 - 46